Which of the follow ing deficiency does not cause dilated cardiomyopathy -
1. Calcium
2. Selenium
3. Manganese
4. Carnitine

Correct answer: 3. Manganese

Explanation: Ans. is 'c' i.e., Manganese Major causes of dilated cardiomyopathy (with common examples)Inflammatory myocarditisMatabolicInfectiveViral (Coxsackie. adenovirus, HIV, hepatitis C)Parasitic (T. cruzi- Chagas1 disease, toxoplasmosis)Bacterial (diphtheria)Spirochetal (Borellia burgdorferi-Lyme disease)Rickettsial- (Q fever)Fungal (with systemic infection)NoninfectiveGranulomatous inflammatoiy diseaseSarcoidosisGiant cell myocarditisHypersensitivity myocarditisPolymyositis, dennaiomyositisCollagen vascular diseasePeripartum cardiomyopathyTransplant rejectionNutritional deficiencies: thiamine, selenium, carnitineElectrolyte deficiencies: calcium, phosphate, magnesiumEndocrinopathy:Thyroid diseasePheochromocytomaDiabetesObesityHemochromatosisInherited Metabolic Pathway DefectsFamilial*Skeletal and cardiac myopathyDystrophin-related dystrophy (Duchenne's, Becker's)Mitochondrial myopathies (e.g. Kearns-Sayre syndrome)Arrhythmogenic ventricular dysplasiaHemochromatosisAssociated with other systemic diseases ToxicSusceptibility to immune-mediated myocarditisAlcoholCatecholamines: amphetamines, cocaineChemotherapeutic agents: (anthracyclines, trastuzumab)InterferonOther therapeutic agents (hydroxychloroquine, chloroquine)Drugs of misuse (emetine, anabolic steroids)Heavy metals: lead, mercuryOccupational exposure: hydrocarbons, arsenicalsOverlap with restrictive cardiomyopathy"Minimally dilated cardiomyopathy"HemochromatosisAmyloidosisHypertrophic cardiomyopathy ("burned-out") ''Idiopathic"Miscellaneous (Shared elements of above etiologies)Arrythmogenic right ventricular dysplasia (may also affect left ventricle)*Left ventricular noncompaction*Peripartum cardiomyopathy